A family of a child just diagnosed with acute lymphoblastic leukemia asks about the child's prognosis. Which of the following is a poor prognostic indicator ?
1. Presence of mediastinal mass
2. Age between 1 and 10 years
3. Hyperploidy with more than 50 chromosomes
4. WBC count less than 50,000/mm3 at diagnosis

Correct answer: 1. Presence of mediastinal mass